Following clostridia are saccharolytic except -
1. Welchii
2. Sporogenes
3. Septicum
4. Oedematiens

Correct answer: 2. Sporogenes